A person was found dead with bluish green frothy discharge at the angle of mouth and nostrils. What is the diagnosis ?
1. Arsenic poisoning
2. Copper poisoning
3. Mercury poisoning
4. Lead poisoning

Correct answer: 2. Copper poisoning

Explanation: Blue green (or purple-green) pigmentation of hair, skin, mucosa and perspiration, purple (blue) green line on gums and bluish green frothy discharge from mouth and nostrils is seen in chronic poisoning of copper salt.